HLA-B27 is typically associated with:
1. Rheumatoid Arthritis
2. Ankylosing spondylitis
3. Sjogren's syndrome
4. Scleroderma

Correct answer: 2. Ankylosing spondylitis

Explanation: Answer is B i.e. (Ankylosing spondylitis): HLA B27 is typically associated with seronegative spondyloarthropathies like Ankylosing Spondylitis Conditions associated with HLA B27 include:Q Ankylosing sponciylitisQ Reiter's syndromeQ Reactive arthritisQ (yersonia, salmonella, gonococcus) Psoriatic arthritisQ Juvenile rheumatoid arthritisQ (not rheumatoid arthritis) Acute anterior uveitis.Q